Secondary prevention of myocardial infarction management therapy includes
1. Antiplatelet therapy
2. A.C.E. Inhibitor
3. Statins
4. All

Correct answer: 4. All